Which of the following organ involvement is not commonly observed with CNS involvement in a patient with DLBCL?
1. Ovary
2. Testis
3. Kidney
4. Adrenal

Correct answer: 1. Ovary

Explanation: Diffuse large B cell lymphoma (DLBCL):- Arise sporadically or from transformation of a low grade lymphoma(eg:-Follicular lymphoma). (1) Present in adulthood as an enlarging lymph node or and extra nodal mass Patient with DLBCL with CNS involvement commonly involve organ like:- Renal, Adrenals, testis.